All are true statements about Conversion disorder except
1. Autonomic nervous system involved
2. There is primary and secondary gain
3. La bella indifference is a feature
4. Patient does not intentionally produce symptoms

Correct answer: 1. Autonomic nervous system involved

Explanation: Conversion Disorder Conversion disorder is characterised by the following clinical features: 1. Presence of symptoms or deficits affecting motor or sensory function, suggesting a medical or neurological disorder. 2. Sudden onset. 3. Development of symptoms usually in the presence of a significant psychosocial stressor(s). 4. A clear temporal relationship between stressor and development or exacerbation of symptoms. 5. The patient does not intentionally produce the symptoms. 6. There is usually a ' secondary gain' (though not required by ICD-10 for diagnosis). 7. Detailed physical examination and investigations do not reveal any abnormality that can explain the symptoms adequately. 8. The symptom may have a 'symbolic' relationship with the stressor/conflict. There can be two different types of disturbances in conversion disorder; motor and sensory. Autonomic nervous system is typically not involved, except when the voluntary musculature is involved, e.g. vomiting, globus hystericus. Ref: A Short Textbook of Psychiatry, Niraj Ahuja, 7th Edition, pg. no. 99